Most common type of staphyloma in myopia is:
1. Posterior
2. Intercalary
3. Equatorial
4. Ciliary

Correct answer: 1. Posterior

Explanation: Posterior